Function of CSF can be:
1. Protective.
2. Nutritive.
3. Pathway for excretion from the CNS.
4. All of the above.

Correct answer: 4. All of the above.